Most abundand type of collagen in human body?
1. Type I
2. Type III
3. Type IV
4. Type VI

Correct answer: 1. Type I

Explanation: Ans. is 'a' i.e., Type I Type I collagen accounts for about 90% of all collagens in humans."_Dinesh Puri